Which of the following side chains is least polar
1. Methyl
2. Carboxyl
3. Amino
4. Phosphate

Correct answer: 1. Methyl

Explanation: Side chain (R) of amino acid which have pure alkyl groups (e.g. methyl), or pure aromatic group, are nonpolar.
Side chain (R) of amino acid which have functional groups, such as hydroxyl, carboxyl, amino, amides and acids, imparts more polar characteristic to amino acid.